Which of the following local anaesthetic is the shortest acting which aids in obstetric anaesthesia?
1. Tetracaine
2. Bupivacaine
3. Prilocaine
4. Chloroprocaine

Correct answer: 4. Chloroprocaine

Explanation: Chloroprocaine is a chlorinated derivative of procaine. Its major assets are its rapid onset and short duration of action and its reduced acute toxicity due to its rapid metabolism (plasma t1/2 ~25 seconds). Chloroprocaine gained widespread use as an epidural agent in obstetric anesthesia, where its rapid hydrolysis served to minimize risk of systemic toxicity or fetal exposure. Ref: Catterall W.A., Mackie K. (2011). Chapter 20. Local Anesthetics. In B.C. Knollmann (Ed), Goodman & Gilman's The Pharmacological Basis of Therapeutics, 12e.